Thump print sign in the abdominal radiograph indicates which of the following conditions?
1. Ischemic colitis
2. Crohn's disease
3. Pseudomembranous colitis
4. All the above

Correct answer: 4. All the above

Explanation: The thump print sign is seen in Inflamatory bowel disease (Ulcerative colitis, Crohns), infectious colitis (amoebic, pseudomembranous), ischaemic bowel disease and diverticulitis. The sign is a result of haustral mucosal thickening in most of the cases.